Y-chromosomes is
1. Metacentric
2. Sub-metacentric
3. Acrocentric
4. Longer than the X-chromosome

Correct answer: 3. Acrocentric

Explanation: Acrocentric chromosome: A chromosome in which the centromere is located quite near one end of the chromosome.Humans normally have five pairs of acrocentric chromosomes. syndrome is caused by an extra acrocentric chromosome (chromosome21).